A 26 year old male presented to the dental clinic with pain in the right lower back tooth region. On examination, it was evident that pericoronitis is present with 48. Panoramic imaging is done to visualize the status of impacted tooth. This type of imaging technique uses:
1. Electromagnetic radiations which are ionizing in nature
2. Electromagnetic radiations which are non-ionizing in nature
3. High energy particulate radiations which are ionizing in nature
4. High energy particulate radiations which are non-ionizing in nature

Correct answer: 1. Electromagnetic radiations which are ionizing in nature

Explanation: Diagnostic imaging with projection radiography and computed tomography use X-rays, a category of electromagnetic radiation that is ionizing in nature. 
Magnetic resonance imaging uses electromagnetic radiations of significantly lower energies than X-rays and at energies that are non-ionizing. 
High-energy electromagnetic radiations (gamma rays, γ) and high-energy particulate radiations (electron beams and protons) are used in cancer therapy. 
Reference: ORAL RADIOLOGY PRINCIPLES AND INTERPRETATION,8th EDITION, Stuart C. White,Michael J. Pharoah